A 30 years old male complains of loss of erection; he has low testosterone and high prolactin level in blood; what is the likely diagnosis:-
1. Pituitary adenoma
2. Testicular failure
3. Craniopharyngioma
4. Cushing's syndrome

Correct answer: 1. Pituitary adenoma

Explanation: Most common cause of hypersecreting pituitary is Pituitary adenoma. PITUITARY ADENOMA Pituitary adenomas arise primarily from anterior pituitary glandQ Classified as either functional (secreting) or nonfunctional (non-secreting) tumors MC functional tumor is prolactinomaQ, which causes amenorrhea & galactorrhea in womenQ. MRI is IOC for pituitary tumorsQ